Periodontal surgery is most difficult to carry out in 2nd molar distally due to:
1. Lack of sufficient attached gingiva.
2. Presence of bulbous fibrous tissue over tuberosity and retromolar pad.
3. Both
4. None

Correct answer: 3. Both